A 35 yr old lady with chronic backache. On X-ray she had a D12 collapse. But Intervertebral disc space is maintained. All are possible except -
1. Multiple myeloma
2. Osteoporosis
3. Metastasis
4. Tuberculosis

Correct answer: 4. Tuberculosis

Explanation: REF : MAHESWARI 9TH ED